Desmopressin acts on ______ receptors to increase the release of VWF and factor VIII from endothelium
1. V1
2. V2
3. V3
4. V4

Correct answer: 2. V2

Explanation: Demopressin acts on V2 receptors on endothelium and increases the release of VWF and Factor VIII.